Drug of choice among these for neonatal seizures:
1. Phenobarbitone
2. Phenytoin
3. Diazepam
4. Clobazam

Correct answer: 1. Phenobarbitone

Explanation: Ans. A. PhenobarbitoneThe drug of choice for treating neonatal seizures is phenobarbitone. Its initial IV dose is 20-40mg/kg IV, followed by maintenance dose of 3-5mg/kg/dayIV/IM or oral.